Anterior vibrating Line is located on:
1. Soft palatal tissue
2. Hard palatal tissue
3. Either on soft or hard palatal tissue
4. Posterior to fovea palatine

Correct answer: 1. Soft palatal tissue